All are true about perinatal transmission of HIV Except-
1. Cannot be diagnosed by routine confirmatory test.
2. Post natal transmission is not possible.
3. Infant transmission rate is <50%
4. Virus can be isolated from mother's milk

Correct answer: 2. Post natal transmission is not possible.